Attachement of Vitreous is Srongest at ?
1. Foveal region
2. Back of lens
3. Across ora serrata
4. Margin of optic disc

Correct answer: 3. Across ora serrata

Explanation: The part of the vitreous about 4 mm across the ora serrata is called as vitreous base, where the attachment of the vitreous is strongest. Ref comprehensive ophthalamology AK Khurana 4th edition page no:243.